Unconjugated hyperbilirubinemia with increased urobilinogen is seen in -
1. Hemolytic anemia
2. Liver cirrhosis
3. Bile duct obstruction
4. Sclerosing cholangitis

Correct answer: 1. Hemolytic anemia